A normal anion gap metabolic acidosis is seen in?
1. Methanol poisoning
2. Salicylate poisoning
3. Diarrhea
4. Diabetic ketoacidosis

Correct answer: 3. Diarrhea

Explanation: Ans. is 'c' i.e., Diarrhea Causes of Non-Anion Gap Acidosisi) Gastrointestinal bicarbonate losso Diarrhoeao External pancreatic or small-bowel drainageo UreterosigmoidostomyJejunal loop, ileal loopo Drugs:# Calcium chloride (acidifying agent)# Magnesium sulfate (diarrhoea)# Cholestyramine (bile acid diarrhoea)ii) Renal acidosiso Hypokalemia# Proximal RTA(type 2)# Distal (classic) RTA type 1)o Hyperkalemia# Generalized distal nephron dysfunction (type 4 RTA)a) Mineralocorticoid deficiencyb) Mineralocorticoid resistancec) Na" delivery to distal nephrond) Tubulointerstitial diseasee) Ammonium excretion defectiii) Drug induced hyperkalemia (with renal insufficiency)o Potassium-sparing diuretics (amiloride, triamterene, spironolactone)o Trimethoprimo Pentamidineo Angiotension-converting enzyme inhibitors and AT-II receptor blocker.o Nonsteroidal anti-inflammatory drugso Cyclosporineiv) Othero Acid loads (ammonium chloride, hyperalimentation)o Loss of potential bicarbonate : ketosis with ketone excretion o Expansion acidosis (rapid saline administration)o Hippurateo Cation exchange resins.Causes of High anion gap acidosis1. Lactic acidosis2. Toxins# Ethylene glycol# Methanol# Salicylates3. Renal failure4. Ketoacidosisa) Diabetesb) Alcoholc) Starvation